Reduced number of platelet is found in all the conditions except:
1. Disseminated intravascular coagulation
2. Aplastic anemia
3. Acute myelocytic leukemia
4. Von Willebrand disease

Correct answer: 4. Von Willebrand disease

Explanation: People with Von Willebrand disease have compound defects in platelet function and coagulation, but in most cases only the platelet defect produces clinical findings.